Exchange blood transfusion what is used ?
1. Whole blood
2. EPP
3. Serum
4. Pack cell

Correct answer: 1. Whole blood

Explanation: Ans. is 'a' i.e., Whole blood